In systemic form of JIA, all are true EXCEPT:
1. RA factor positive
2. High fever with rash
3. Hepatosplenomegaly
4. Elevated ESR

Correct answer: 1. RA factor positive

Explanation: RA factor may be positive in polyarthritis, but not in systemic onset JIA. Systemic form of JIA: High fever with rash Hepatosplenomegaly Elevated ESR Types of JIA Systemic JIA- Systemic involvement seen Oligoarticular- Affects four or fewer joints, often the knee or ankle. Polyarticular arthritis, rheumatoid factor negative Polyarticular arthritis, rheumatoid factor positive Psoriatic arthritis Enthesitis-related arthritis Undifferentiated arthritis